Human papillomavirus 16 increases the risk of all Except
1. Cervical squamous cell cancer
2. Anal cancer
3. Endometroid adenocarcinoma
4. Oropharyngeal cancer

Correct answer: 3. Endometroid adenocarcinoma

Explanation: Oral human papillomavirus (HPV) infection,particularly HPV -16,increases the risk for cancers of the oropharynx. This association exists even in the absence of other risk factors such as smoking or alcohol use (although the magnitude of increased risk appears greater than additive when HPV infection and smoking are both present). Oral HPV infection is believed to be largely sexually acquired.Reference: Harrison; 19th edition